The nerve involved in anterior dislocation of the shoulder is:
1. Radial nerve
2. Axillary nerve
3. Ulnar nerve
4. Musculocutaneous nerve

Correct answer: 2. Axillary nerve

Explanation: B i.e. Axillary Nerve